Tumor of which of the following type of cells result in Zollinger Ellison syndrome?
1. ECL cells
2. Chief cells
3. G cells
4. S cells

Correct answer: 3. G cells

Explanation: Zollinger Ellison syndrome is a malignancy of the gastrin secreting G cells present in the antral mucosa of the stomach. Parietal cells secrete acid and intrinsic factor, chief cells secretes pepsinogen, ECL cells synthesize histamine, and secretin is synthesized by the S cells of the duodenum. Ref: LANGE'S Gastrointestinal Physiology By Kim E Barrett chapter 3.